Acute mechanical large bowel obstruction should be operated early because of the risk of ?
1. Respiratory embarrassment due to abdominal distension
2. Electrolyte imbalance from vomiting
3. Septicaemia from bowel contents
4. Closed-loop obstruction and caecal perforation

Correct answer: 4. Closed-loop obstruction and caecal perforation

Explanation: Ans. 'd' Closed-loop obstruction and cecal perforation